Kussmaul breathing is seen in:
1. Metabolic alkalosis
2. Metabolic acidosis
3. Pulmonary fibrosis
4. Pneumonia

Correct answer: 2. Metabolic acidosis

Explanation: Ans: b (Metabolic acidosis) Ref: Harrison, 16th ed,p. 1629; 17th ed,p. 2283Kussmaul breathing is typically seen in metabolic acidosis.Kussmaul breathing or acidotic breathingThis type of respiration is characterized by rapid and deep breathing which is due to stimulation by increased H+ (acidosis)Causes of Kussmaul breathingMetabolic acidosisDiabetic ketoacidosisRenal failureCheyne Stokes breathingIn this type, the respiration shows alternate waxing and waning of tidal volume.Causes of Cheyne Stokes breathing- Left ventricular failure- Brain injury- Uraemia- Normal children during sleepBiot respiration or periodic breathingIn this type, the respiration is characterized by alternate eupnoea and apnoea.Causes of Biot breathing are- Meningitis- Severe brain damageKussmaul sign - It is a paradoxical rise in JVP during inspiration. It is seen in pericardial tamponade